Which of the folloiwng is not a labile cell -
1. Bone marrow
2. Epidermal cells
3. Small intesting mucosa
4. Hepatocytes

Correct answer: 4. Hepatocytes

Explanation: Labile cells are those which are continuously lost and replaced by stem cells. they can regenerate throughout life It includes mucosa of the intestinal tract, vagina, skin, etc. Hepatocytes are stable type of cells, even though they have high capacity for regeneration. Basic Pathology 9th ed Robbins. Page no.:59